Drug used in the treatment of resistant gonorrhoea is :
1. Penicillin
2. Cotrimoxazole
3. Spectinomycin
4. Erythromycin

Correct answer: 3. Spectinomycin